Atropine poisoning causes all, EXCEPT:
1. Dilated pupil
2. Excitement
3. Excessive salivation
4. Hot skin

Correct answer: 3. Excessive salivation

Explanation: Atropine is an anticholinergic drug. Its toxicity causes:

Dry mouth (and not excessive salivation)
Hot skin
Dilated pupil and photophobia
Excitement
Flushing of skin
Hypotension → cardiovascular collapse
Convulsions and coma